Psammoma bodies features are all except:
1. Seen in meningioma
2. Concentric whorled appearance
3. Seen in papillary thyroid carcinoma
4. Seen in teratoma

Correct answer: 4. Seen in teratoma

Explanation: Ans. (d) Seen in teratoma(Ref: R 9th/pg 65; 8th/pg 38)Psammoma bodies (PBs) are concentric lamellated calcified structures, observed most commonly in papillary thyroid carcinoma (PTC), meningioma, and papillary serous cystadenocarcinoma of ovaryThey represent a process of dystrophic calcification